Ape thumb deformity is due to injury of which nerve
1. Radial nerve
2. Ulnar nerve
3. Median nerve
4. Axillary nerve

Correct answer: 3. Median nerve

Explanation: Ans. (c) Median nerveRef BDC Vol-1 Pg. 109,159; Clinical anatomy, Vishram Singh/ 58* Median nerve is the main nerve of the front of the forearm. It also supplies the muscles of thenar eminence.* The ape hand deformity or ape thumb deformity of hand is due to paralysis of thenar muscles which is supplied by median nerve.Presenting Feature of Ape Thumb Deformity* Thumb is laterally rotated and adducted* Loss of thenar eminence* Loss of opposition of thumb